In the nephrons, the vasopressin mainly acts at the level of
1. Proximal convoluted tubules
2. Distal convoluted tubules
3. Loop of Henle
4. Collecting tubules

Correct answer: 4. Collecting tubules

Explanation: Ans. d (Collecting tubules); (Ref. Guyton, Physiology, 10th ed., 773)HORMONES ACTING ON KIDNEY HormonesStimulus for secretionActions on kidneys1Vasopressin (ADH)||Plasma osmolalityBlood volume||H2O permeability of principal cells incollecting ducts.Urea absorption in collecting duct.Na+/K+2CI-transporter in thick ascending limb.2Aldosterone||Blood volume (via All)plasma (K+)|Na+ re-absorption,K+secretion, H+ secretion in distal tubule.3Angiotensin II Blood volume (Via renin) Contraction of efferent arteriole | GFR,Na+ HCO3 re-absorption in PCT.4Atrial natriureticpeptide (ANP)|Atrial pressure||Na+ reabsorptionGFR5PTH-Plasma (Ca2+)|Ca2+ reabsorption, | PO43-reabsorption, 1,25(OH)2 vitamin D production